Pneumobilia is seen in
1. Gallstone ileus
2. TPN
3. Volvulus
4. Ruptured hydatid cyst

Correct answer: 1. Gallstone ileus

Explanation: Causes of pneumobilia Previous surgery (papillotomy, choledochojejunostomy, ERCP with sphincterectomy) Gallstone ileus Emphysematous cholecystitis Choledochoduodenal or cholecystocolic fistula Tracheobiliary fistula Suppurative cholangitis Mirriz's syndrome (Due to cholecystoenteric fistula) Ref: Sabiston 20th edition Pgno :1570